The ratio of actin : troponin : tropomyosin molecules in an thin filament is:
1. 1:01:01
2. 1:03:05
3. 1:07:07
4. 7:01:01

Correct answer: 4. 7:01:01

Explanation: A thin filament has 3 molecules - actin troponin tropomyosin in a ratio of 7: 1: 1.